Currarino triad includes:-
1. Pre-sacral meningocele + sacral defect + Tethered cord
2. Ectopic vesicae + Anorectal malformation + Sacrococcygeal ossous defect
3. Anorectal malformations + Sacrococcygeal osseous defect + Presacral mass
4. Tethered cord + Anorectal malformations + Ectopia vesicae

Correct answer: 3. Anorectal malformations + Sacrococcygeal osseous defect + Presacral mass

Explanation: Currarino triad: Anorectal malformations + Sacrococcygeal osseous defect + presacral mass